All are true about humerus attachment except?
1. Supraspinatus at LT
2. Subscapularis at LT
3. Teres minor at GT
4. Infraspinatus at GT

Correct answer: 1. Supraspinatus at LT

Explanation: Supraspinatus is inserted into the uppermost impression on the greater tubercle. The subscapularis is multipennate and is inserted into the lesser tubercle. Teres major is inserted into the lower impression on the greater tubercle. The infraspinatus is inserted into the middle impression on the greater tubercle. Reference:page no: 16 ,BD Chaurasia- upper limb& thorax, 6th edition Figure :2.15,2.16 , page no:16 - BD Chaurasia - upper limb & thorax , 6 the edition